Swarming growth on culture is characteristic of which Gram-positive organism
1. Clostridium welchii
2. Clostridium tetani
3. Bacillus cereus
4. Proteus mirabilis

Correct answer: 2. Clostridium tetani

Explanation: The material containing Clostridium tetani is inoculated on one half of the blood agar plate. An extremely fine, transparent film of growth is the delicately filamentous advancing edge Clostridium tetani produce swarming growth which is detected in the opposite half of plate after 1-2 days of anaerobic incubation. Reference: Textbook of Microbiology; Anathanarayan and paniker's; 10th edition; Page no: 266